Western blot is used for -
1. DNA
2. RNA
3. Sugar
4. Protein

Correct answer: 4. Protein

Explanation: Ans. is 'd' i.e., Protein o Visualization of a specific DNA or RNA fragment among the many thousand of contaminating molecules requites the convergence of number of techniques collectively termed the blot transfer.Southern blot -Detects DNANorthern blot -Detects RNAWestern blot -Detects proteins (proteins are separated by electrophoresis, renatured and analysed for an interaction by hybridization with a specific labelled DNA probe)